Commonest site of lytic lesion, in multiple myeloma is
1. Vertebral column
2. Femur
3. Clavicle
4. Pelvis

Correct answer: 1. Vertebral column

Explanation: Answer is A (Vertebral column) The commonest site of involvement in multiple myeloma is vertebral column. Although any bone may be involved, the following order of involvement is most often seen. Vertebral column (66%) > Ribs (44%) > Skull(41%)> pelvis (28%)>frinur (24%) > clavicle(10%) > scapula(10%)